Rule of nine true is used to denote ?
1. Depth of burns
2. % of total body surface area
3. Severity of burns
4. Type of burn

Correct answer: 2. % of total body surface area

Explanation: Ans. is 'b' i.e., % of total body surface area Extent of burns The surface area burnt is more important than the degree of burn, in assessing prognosis of a given case. For example, a first degree burn over a wide area is more dangerous than a third degree burn over a limited area. For estimation of burn area, there is rule of 9 (Wallace's formula) :? In adults surface area is calculated by :? 9% for the head and neck. 9% for each upper limb. 9% for the front of each lower limb. 9% for the back of each lower limb. 9% for the front of the chest. 9% for the back of the chest. 9% for the front of the abdomen. 9% for the back of the abdomen. 1% for the genitalia.